Which of the following is used in management of diabetes?
1. Bromocriptine
2. Octreotide
3. Prednisolone
4. Pegvisomant

Correct answer: 1. Bromocriptine

Explanation: Answer- A. BromocriptineBromocriptine is recently included as antidiabetic.